Most appropriate marker of GIST
1. CD 117
2. CD 34
3. CD 23
4. S-100

Correct answer: 1. CD 117

Explanation: Refer Robbins page no 789-790 Cd117 is the most important diagnostic marker is detectable in 95 percnt of the patients